Red man syndrome is caused by
1. Vancomycin
2. Teicoplanin
3. Both 1 & 2
4. Ciprofloxacin

Correct answer: 1. Vancomycin

Explanation: Vacomycin can release histamine & lead to "Red man syndrome".